Erythema nodosum leprosum is seen in a 16 year old boy from Bihar. They are features of which of the following types of leprosy?
1. Lepromatous
2. Borderline
3. Tuberculoid
4. Borderline tuberculoids

Correct answer: 1. Lepromatous

Explanation: Type II lepra reactions (ENL) is seen in Lepromatous Leprosy. Erythema nodosum leprosum is a type III hypersensitivity.